All of the following vascular changes are observ ed in acute inflammation, except-
1. Vasodilation
2. Stasis of blood
3. Increased vascular permeability
4. Decreased hydrostatic pressure

Correct answer: 4. Decreased hydrostatic pressure

Explanation: Ans. is 'd' i.e., Decreased hydrostatic pressureInflammationVascular changesCellular changeso Vasoconstrictiono Vasodilatationo Increased permeability'o Chemotaxis, phagocytosiso Increased hydrostatis pressureo Marginationo Rollingo Adhesion